Volume of orbit is
1. 19 ml
2. 29 ml
3. 39 ml
4. 49 ml

Correct answer: 2. 29 ml

Explanation: Answer- B. 29 mlVolume of each orbit is 29 ml.Orbit is made up of 7 bones: frontal, ethmoid, lacrimal, palatine, maxilla, zygomatic and sphenoid